Carbon monoxide poisoning is characterized by all except -
1. Cyanosis
2. Cherry red discoloration
3. Skin blistering
4. Poison with just 10% concentration may be asymptomatic

Correct answer: 1. Cyanosis

Explanation: Cyanosis is not a feature of CO poisoning.